Normal serum value of magnesium ?
1. 1.5 mEq/L
2. 5 mEq/L
3. 25 mEq/L
4. 50 mEq/L

Correct answer: 1. 1.5 mEq/L

Explanation: Ans. is 'a' i.e., 1.5 mEq/L